Blood supply of putamen includes all except?
1. Medial striate arteries
2. Lateral striate arteries
3. Anterior choroidal artery
4. Posterior communicating artery

Correct answer: 4. Posterior communicating artery

Explanation: Blood supply of basal gangliaCaudate nucleus and putamen are supplied by lateral and medial striate branches of anterior, medial and posterior cerebral arteries. Putamen receives additional supply from anterior choroidal artery. o Globus pallidus is supplied by lateral striate and anterior choroidal arteries.